Drug active against New Delhi beta lactamase producing strains of bacteria is:
1. Meropenem
2. Colistin
3. Cephalosporins
4. Penicillins

Correct answer: 2. Colistin

Explanation: New Delhi Metallo lactamase bacteria are susceptible to colistin. Penicillinase Resistant Penicillin : Cloxacillin Oxacillin Nafcillin Dicloxacillin Ofloxacillin Methicillin Extended Spectrum b Lactamase bacteria are sensitive to carbapenems.